Fibrosis is due to-
1. TGF-b
2. TNF-a
3. IL - 7
4. IL -10

Correct answer: 1. TGF-b

Explanation: Robbins and Cotran pathologic basis of disease South Asia edition. Robbins 9/e p46 *activated macrophages secrete 1 growth factors ,TGF Beta:tissue repair and fibrosis. 2 IL 10 ,TGF Beta: anti inflammatory effect.